Female health worker -
1. Covers 5000 population
2. Covers 1000 population
3. Covers 100 population
4. None

Correct answer: 1. Covers 5000 population

Explanation: Ans. is 'a' i.e., Covers 5000 population o Health worker (female or male) covers 5000 population in general or 3000 in hilly, tribal or backward area,o A subcentre caters a population of-5000 in general 3000 in hilly, tribal & backward areaso A PHC caters a population of-30,000 in generalo A Community health centre caters 20,000 in hil ly, tribal & backward area.a population of-80,000 to 1.2 lakh,o A health assistant (male & females) are at a population of-30,000 in general oro Male and female health workers are at (20,000 in hilly, tribal or backward area.)a population of-5000 in general or 3000 in hilly, tribal or backward area,o Health guide caters a population of-1000o Anganwadi workers-1000o Local dai-1000